True about chest trauma:a) ECG done in all cases a/w sternal fractureb) Under water seal drainage if a/w pneumothorax c) X-ray chest investigation of choiced) Urgent surgery needed in all cases
1. ab
2. bc
3. acd
4. abc

Correct answer: 4. abc

Explanation: • Sternal fracture also constitute a marker for serious associated injuries, including myocardial contusion, myocardial rupture, esophageal perforation, airway injuries and thoracic aortic rupture.
• In blunt cardiac injuries, ECG is the first diagnostic test.
• Routine investigation in the emergency department of injury to the chest is based on clinical examination, supplemented by chest radiography.
• In the unstable patient, chest radiography is the investigation of first choice, provided that it does not interfere with resuscitation.